Most common site for parasinus cancer is ?
1. Maxillary sinus
2. Frontal sinus
3. Ethmoidal sinus
4. Equal distribution in all sinuses

Correct answer: 1. Maxillary sinus

Explanation: Maxillary sinus is the most common site.
Usually its SCC. Treatment is excision plus radiotherapy.